All joints are involved in acute gout except:
1. MTP
2. Gleno-humeral joint
3. Ankle joint
4. Knee joint

Correct answer: 2. Gleno-humeral joint

Explanation: Other than the great toe, the most common sites of gouty arthritis are the ankle, wrist, finger joints, and knee. In early gout, only 1 or 2 joints are usually involved. Consider the diagnosis in any patient with acute monoarticular arthritis of any peripheral joint except the glenohumeral joint of the shoulder.